The typical temperature of an autoclave (operating at 30 psi of pressure is)
1. 121degC
2. 100degC
3. 63degC
4. 134degC

Correct answer: 4. 134degC

Explanation: Two types of autoclave are used in laboratories and hospitals. * Moist heat at 121 degree Celsius X 15-20 minutes (Pressure-15 psi) * Moist heat at 134 degree Celsius X 3 minutes (Pressure-30 psi)